Pressure sores usually occur when external pressure exceeds capillary occlusive pressure over
1. 20 mmHg
2. 25 mmHg
3. 30 mmHg
4. 35 mmHg

Correct answer: 3. 30 mmHg

Explanation: When external pressure exceeds the capillary occlusive pressure over 30mmHg, blood flow to skin ceases leading to tissue anoxia, necrosis and ulceration. Ref: Bailey and love 27th edition Pg no: 29